Biguanides acts by following except -
1. |Insulin release from pancreas
2. | Glycolysis
3. | Gluconeogenesis
4. | Insulin binding to its receptors

Correct answer: 1. |Insulin release from pancreas

Explanation: Ans. is 'a' i.e., | insulin release from pancreash Biguanides acts by : o Suppress hepatic gluconeogenesis and glucose output from liver major action. o Enhance insulin mediated glucose disposal in muscle and fat (Increased peripheral utilization of glucose) by enhancing GLUT-I transport from intracellular site to plasma membrane. o Retad intestinal absorption of glucose. o Promote peripheral glucose utilization by enhancing anaerobic glycolysis.